Which one of the following pulses has the highest content of iron?
1. Bengal gram
2. Black gram
3. Red gram
4. Soyabean

Correct answer: 4. Soyabean

Explanation: Ans. is 'd' ie soyabean (Ref: Park 20/e, p 544 (18/e, p454)).Not only iron, soyabean has the highest content of Energy, Proteins, Fat, Calcium & Vit. B (Thiamine, Riboflavin, Niacin) among the given pulses.Also RememberPulses contain more proteins than eggs, fish or any flesh food, but in regard to quality, pulse proteins are inferior to animal proteins.Pulse proteins are poor in Methionine* and to a lesser extent in cystein*Pulse proteins are rich in Lysine*.In the dry state, pulses do not contain Vitamin C. Germinating pulses, however, contain higher concentration of vitamins, especially vitamin C and B.